The MOST commonly used chemotherapeutic agent in trans arterial chemoembolisaion for hepatocellular carcinoma is:
1. Doxorubicin
2. Cisplatin
3. Mitomycin C
4. 5 FU

Correct answer: 1. Doxorubicin

Explanation: Doxorubicin, Cisplatin and Mitomycin all are used in TACE. However the most commonly used agent is Doxorubicin. Ref: Quality-Improvement Guidelines for Hepatic Transarterial Chemoembolization: Cardiovasc Intervent Radiol